Androgen receptor blocking drug is :
1. Tamoxifen
2. Cyproterone acetate
3. Mifepristone
4. Nalondrone

Correct answer: 2. Cyproterone acetate

Explanation: Ans. is 'b' Cyproterone acetate Cyproterone acetate is a Potent Antiandrogen competes with dihydrotestosterone for the intracellular androgen receptor and inhibits its binding.